Normal QRS duration at 1 year of age is
1. 0.03-0.07 seconds
2. 0.04-0.08 seconds
3. 0.04-0.09 seconds
4. 0.06-0.09 seconds

Correct answer: 2. 0.04-0.08 seconds

Explanation: Normal QRS duration at various age groups Age group QRS duration in seconds 0-6 months 0.03-0.07 (0.05) 1-5 yr 0.04-0.08 (0.06) 10-15 yr 0.04-0.09 (0.07) >15 yr 0.06-0.09 (0.08) Reference: Essential Paediatrics; O.P. Ghai; Page no: 459